How is the Human poverty index - 2 (HPI -2) different from Human poverty Index - 1 (HPI - 1, as described in UNDP?
1. It also captures the financial inclusion
2. It also captures the social exclusive
3. It also captures the geriatric empowerment
4. It also captures the occupational health

Correct answer: 2. It also captures the social exclusive

Explanation: Human poverty index for developing countries (HPI-1) The following three dimensions are taken into account: Deprivation of longevity, measured as a percentage of the individuals with a life expectancy lower than 40 years (P1). Deprivation of knowledge, expressed as a percentage of illiterate adults (P2). Deprivation of decent living standards (P3) HPI-2 also considers a fourth dimension, social exclusion, measured with the long-term unemployment rate (P4), that is the percentage of those unemployed for 12 months or over compared to the total work force (the sum of those working and those seeking a job). Ref : Park's textbook of preventive and social medicine; 23rd edition